Child can Swaps object from one hand to other in:
1. 2-3 month
2. 5-6 month
3. 6-12Months
4. 12-18 Months

Correct answer: 2. 5-6 month

Explanation: Ans. b. 5-6 monthChild can transfer objects from one hand to other by 6-7 monthTransfer objects hanil to hanil in 5'5 months